Human hand occurs due to -
1. Abrus prictorius
2. Red chilli
3. Dhatura
4. Strychnine

Correct answer: 2. Red chilli

Explanation: Capsicum Toxic Principle * Capsaicin * Capsicin Clinical Features 1. Dermal exposure: Burning sensation, pain * Chili burns: Person occupationally exposed to chili powder may have pain, irritation and erythema * Hunan hand: Contact dermatitis caused due to chili 2. Ocular exposure: Causes pain, lacrimation, conjunctivitis, blephrospasm 3. Inhalation: Cough, irritation. Chili worker's cough - occupational exposure results in coughing. 4. Ingestion: * Burning pain in mouth * Salivation * Vomiting * Abdominal pain * Diarrhoea (burning REF;THE SYNOPSIS OF FORENSIC MEDICINE:KS NARAYANA REDDY;28th EDITION;PAGE NO 317